Which of the following is being used in trauma patients to control bleeding
1. Traneximic acid
2. Haemocoagulase
3. Aprotinin
4. Fondaparinux

Correct answer: 1. Traneximic acid

Explanation: Tranexamic acid is an antifibrinolytic drug that reduces the risk of mortality from bleeding in both blunt and penetrating trauma. One gram is given intravenously over 10 minutes, followed by a further 1 g dose over 8 hours. Tranexamic acid should be given to all trauma patients suspected to have significant haemorrhage, including those with a systolic blood pressure of <110 mmHg or a pulse of over 110 per minute.It needs to be administered within 3 hours of injuryBailey and love 27e 324